Fixation is a concept related to
1. Psychosocial stages of development
2. Psychosexual stages of development
3. Cognitive stages of development
4. Hierarchy of needs

Correct answer: 2. Psychosexual stages of development

Explanation: Fixation is concept introduced by Sigmund Freud, he explains this in his each stage of Psychosexual stages of development. Ref: Synopsis of Psychiatry, 11e, pg 157.